The following has rough appearance:
1. Rough endoplasmic reticulum
2. Agranular endoplasmic reticulum
3. Golgi apparatus
4. All

Correct answer: 1. Rough endoplasmic reticulum

Explanation: Rough endoplasmic reticulum has granules on the surface hence appear rough The granules mainly contain ribosomes and involved in protein synthesis